Infection with which of the following agents is particularly dangerous for anemic patients -
1. Adenovirus
2. Cytomegalovirus
3. Herpes simplex virus
4. Parvo virus

Correct answer: 4. Parvo virus

Explanation: parvo virus induces aplastic crisis in childrens with chronic hemolytic anemia REF:MICROBIOLOGY ANANTHA NARAYANAN NINTH EDITION PAGE554